Anaesthetic agent causing pain on intravenous administration
1. Thiopentone
2. Propofol
3. Ketamine
4. Midazolam

Correct answer: 2. Propofol

Explanation: Refer Katzung 12th/431 Propofol is highly lipid soluble It's solution is made in oil(oliy liquid employed as 1 percnt emulsion) Thus it is painful on injection